All of the following are seen in the Horner's syndrome, Except
1. Drooping of upper eyelid
2. Enophthalmos
3. Dilated pupil
4. Loss of sweating on same side of face

Correct answer: 3. Dilated pupil

Explanation: Horner's syndromeClinical featuresLess common featuresPtosisHyperactive accommodationMiosis Hypochromic heterochromiaAnhydrosisHypotonyEnophthalmosHyperemiaLoss of ciliospinal reflexes